All cartilage is covered by perichondrium except
1. Hyaline
2. Elastic
3. Fibrocartilage
4. None of the above

Correct answer: 3. Fibrocartilage